In case of appendicitis, if the pain is exacerbated on medial rotation of the thigh, the position of appendix is in
1. Pelvis
2. Preileal region
3. Paracaecal region
4. Midinguinal region

Correct answer: 1. Pelvis

Explanation: Dunphy's sign: Any movement, including coughing, may cause pain.Rovsing's sign: Pain in the right lower quadrant during palpation of the left lower quadrant.Iliopsoas sign: "Obraztsova's sign' pain on extension of the hip which relieves on flexing the hip into the "fetal position" (due to inflammation of the peritoneum overlying the iliopsoas muscles and inflammation of the psoas muscles themselves). Theis is typical of a retrocecal appendix.Obturator sign: Pain in flexion and internal rotation of the hip (due to irritation of obturator internus). This is typical of a pelvic appendix.Blumberg sign: Deep palpation of the viscera over the suspected inflamed appendix followed by the sudden release of the pressure causes the severe pain on the site indicating positive Blumberg's sign and peritonitis.Volkovich -Kocher (Kosher)'s sign: The appearance of pain in the epigastric region or around the stomach at the beginning of disease with a subsequent shift to the right iliac region.Sitkovsky (Rosenstein)'s sign: Increased pain in the right iliac region as the patient lies on the left side.Bartomier - Michelson's sign: Increased pain on palpation at the right iliac region as the patient lies on left side compared to when the patient was in the supine position.Aure - Rozanova's sign: Increase pain on palpation with a finger in right Petit triangle. Typical in the retrocecal position of the appendix. Boundaries of Petit triangle are the iliac crest, External oblique muscle, and Latissimus Dorsi muscle.